Most common clinical presentation of sarcoidosis:
1. Pleural plaque
2. Hilar lymphadenopathy
3. Pulmonary fibrosis
4. Interstitial calcification

Correct answer: 2. Hilar lymphadenopathy

Explanation: Ans. (b) Hilar lymphadenopathyRef: Robbings pathology 9th ed. 1692-93